All are known to produce parenchymatous conjunctival xerosis except:
1. Vitamin A deficiency
2. Diphtheric membranous conjunctivitis
3. Trachoma
4. Stevens-Johnson syndrome

Correct answer: 1. Vitamin A deficiency

Explanation: Ans. Vitamin A deficiency